Common side effect of thiazolidinediones is:
1. Dysguesia
2. Hypoglycemia
3. Water retention with weight gain
4. Anemia

Correct answer: 3. Water retention with weight gain

Explanation: The adverse effects of thiazolidinediones are plasma volume expansion, edema, weight gain, headache, myalgia, mild anemia. They are used with utmost caution in people with CCF, nephrotic syndrome, cirrhosis of liver where edema is seen commonly (REF.Essential of medical pharmacology K D TRIPATHI 6 Edition, Page No 270)